The most common site of Tracheostomy
1. Superior thyroid region
2. Retro thyroid region
3. Infra thyroid region
4. Lateral thyroid region

Correct answer: 2. Retro thyroid region

Explanation: Tracheostomy is an operation in which the trachea is opened and a tube inserted into it to facilitate breathing. It is most commonly done in the retrothyroid region after retracting the isthmus of the thyroid gland. A suprathyroid tracheostomy is liable to stricture, and an infrathyroid one is difficult due to the depth of the trachea and is also dangerous because numerous vessels lie anterior to the trachea here.Ref: BD Chaurasia; Volume 3; 6th edition; Anterior Triangle of the Neck; Page no: 139